Most common cause of pyelonephritis in pregnancy-
1. Pseudomonas
2. E coli
3. Proteus
4. Klebsiella

Correct answer: 2. E coli

Explanation: Ans. is 6b' i.e., E coli o The most common infection in pregnant women is urinary tract infectiono Most common infecting organism is E coli, can cause cystitis and pyelonephritis.